Which fungicide is used as a spray for the control of bagassosis-
1. 2% acetic acid
2. 2% formic acid
3. 2% propionic acid
4. 25% pmhenyl mercury

Correct answer: 3. 2% propionic acid

Explanation: - bagassosis is the occupational disease of lung caused by inhalation of sugarcane dust. - it is caused due to a thermophilic actinomycete, Thermoactinomyces sacchari. - preventive measures include bagasse control done by keeping the moisture content above 20 percent and spraying the bagasse with 2 percent propionic acid, a widely fungicide. Reference: Park's textbook of preventive and social medicine, 23rd edition, pg no:807